Most common type of gastric carcinoma is?
1. Squamous cell carcinoma
2. Adenocarcinoma
3. Lymphoma
4. Leiomyosarcoma

Correct answer: 2. Adenocarcinoma

Explanation: Ans. is 'b' i.e., Adenocarcinoma * Gastric carcinoma is the most common malignant tumor of stomach. About 85% of stomach cancers are adenocarcinoma.* Most common site of gastric carcinoma is pylorus and antrum (50-60%), followed by cardia (25%) and body or fundus (remainder). The lesser curvature is involved in about 40% and greater curvature in 12%.* Thus favored location is lesser curvature of antropyloric region.* Carcinoma associated with pernicious anemia (autoimmune gastritis or type A gastritis) occurs in fundus.